All of the following heart sounds occur shortly after S2 except
1. Opening snap
2. Pericardial knock
3. Ejection click
4. Tumor plop

Correct answer: 3. Ejection click

Explanation: An ejection sound is a high-pitched early systolic sound that corresponds in timing to the upstroke of the carotid pulse. The other three are heard during diastole. ref - harrson's internal medicine 20e pg1671-1673,1811,1815